True about Creutzfeldt-Jacob's disease is -a) Inheritable diseaseb) Corneal implants can transmit diseasec) Caused by DNA containing organismd) Arthropod borne disease
1. ac
2. a
3. ab
4. bc

Correct answer: 3. ab